In sebaceous glands accumulation of sebum leads to –
1. Millia
2. Acne
3. Epidermoid cyst
4. Milliria

Correct answer: 2. Acne

Explanation: Blockage of Pilosebaceous gland is the main pathogenic factor for Acne vulgaris.